The antisocial disorder is characterized by
1. Excessive sensitivity to suspiciousness
2. Emotional coldness, lack of pressure
3. Unconcern for feeling for others, disregard for social norms
4. Self dramatization, exaggerated expression of emotions

Correct answer: 3. Unconcern for feeling for others, disregard for social norms

Explanation: Personality Disorders An enduring pattern of inner experience and behavior that deviates markedly from the expectations of individuals' culture. manifested in cognition, affectivity, interpersonal functioning, impulse control. Cluster A Paranoid , Schizoid , Schizotypal Cluster B Anti Social , Borderline , Histrionic , Narcisstic Cluster C Avoidant , Dependant , Obsessive Compulsive Cluster B personality disorders *DISSOCIAL *Asocial, antisocial and psychopathic *Lacks empathy *Lacks guilt *Lacks shame *Cruel *Callous *Aggressive *Change of occupation *Absentism *Failed relationships EMOTIONALLY UNSTABLE *Unstable and internse relationship *Disturbance in self image *Impulsivity *Affective instability *Chronic feeling of emptiness *Suicidal behavior *Difficulty controlling anger Dissosiative symptoms *HISTIRIONIC *Theatrical behavior *Superficial charming *Life and soul of the party *Craving for attention, appreciation and affection *Excessive reaction to minor events( over act) *Egocentricity *Seductiveness *manipulative *Difficulty sustaining long term relationships *NARCISSISTIC PERSONALITY DISORDER *grandiose sense of self-importance *preoccupation with fantasies of unlimited success *exhibitionistic need for constant attention and admiration *anger or humiliation in response to criticism *taking advantage of other people *lack of empathy *Regards self as "special" Reference: P.645 section II DSM -5 PERSONALITY DISORDER